Which is not seen in ARDS -a) Low protein edemab) Low Pulmonary artery wedge pressurec) Normal pulmonary artery wedge pressured) High pulmonary artery wedge pressure
1. ad
2. c
3. ac
4. ab

Correct answer: 1. ad